Which among the following fluoroquinolone has longest half-life?
1. Levofloxacin
2. Lomefloxacin
3. Ciprofloxacin
4. Moxifloxacin

Correct answer: 4. Moxifloxacin

Explanation: Among the given options, the drug with longest half life is moxifloxacin (around 12 hours) but overall longest acting is sparfloxacin. Half-life of fluoroquinolones Drug Half Life Drug Half Life Ciprofloxacin 4 hours Norfloxacin 3 hours Gatifloxacin 7-8 hours Levofloxacin 7-8 hours Lomefloxacin 8 hours Moxifloxacin 12-15 hours Ofloxacin 8-9 hours Sparfloxacin 18-20 hours Grepafloxacin 12-15 hours Trovafloxacin 12 hours